Declaration of Helsinki is related to ?
1. Torture, cruel treatment of prisoners
2. Organ Transplantation
3. Medical research involving human subjects
4. Therapeutic abortion

Correct answer: 3. Medical research involving human subjects

Explanation: Declaration of HELSINKI is related to Human Experimentation.